Tzank smear is positive in –
1. Herpes simplex
2. Psoriasis
3. LP
4. Warts

Correct answer: 1. Herpes simplex